Which of the following is not a content of broad ligament ?
1. uterine tube
2. ureter
3. round ligament of uterus
4. uterine artery

Correct answer: 2. ureter

Explanation: The broad ligament contains the following structures. 1. The uterine tube 2. The round ligament of the uterus. 3. The ligament of the ovary. 4. Uterine vessels near its attachment to the uterus. 5. Ovarian vessels in the infundibulopelvic ligament. 6. The uterovaginal and ovarian nerve plexuses. 7. Epoophoron. 8. Paroophoron 9. Some lymph nodes and lymph vessels. 10. Dense connective tissue or parametrium present on the sides of the uterus. Ref : B D Chaurasia's Human Anatomy , seventh edition , volume 2 , pg. no., 422.